All the following are macrophage except—
1. Monocyte
2. Lymphocyte
3. Kupffer cell
4. Microglia

Correct answer: 2. Lymphocyte

Explanation: In humans, the gene encoding the most important histocompatibility molecules are clustered on a small segment of chromosome 6, the MHC complex or the human leucocyte antigen (HLA) complex in humans, so named because MHC encoded antigens were initially detected on leucocytes  '- Robbins7th/203
Major Histocompatibility Complex